All of the following describe pyogenic abscess except
1. Clear edge
2. Non - fluctuant
3. Formed pus
4. Well Localised

Correct answer: 2. Non - fluctuant

Explanation: Pyogenic abscess is fluctuant.